True supports of uterus are all, except-
1. Uterosacral ligaments
2. Mackenrodt's ligament
3. Broad ligament
4. Levator ani

Correct answer: 3. Broad ligament

Explanation: Ans. is 'c' i.e., Broad ligament SUPPORTS OF THE UTERUSA. Primary Supports I.Muscular (Main) supports1. Pelvic diaphragm (levator ani)2. Urogenital diaphragm3. Perineal body II.Fibromuscular / Mechanical supports1. Uterine axis2. Pubocervical ligament3. Transverse cervical ligament of Mackenrodt4. Uterosacral ligament5. Round ligament of uterus (weak)B.Secondary Supports These are peritoneal folds which have doubtful value in supporting the uterus. 1. Broad ligament2. Uterovesical fold of peritoneum3. Rectovaginal fold of peritoneum* Thus the broad ligament is the weakest support of the uterus.